An elderly multiparous woman with IUD was admitted with strong labour pains. The patient suddenly goes with shock with cyanosis, respiratory disturbance and pulmonar edema. The most likely clinical diagnosis is :
1. Rupture uterus
2. CHF
3. Amniotic fluid embolism
4. Concealed accidental hemorrhage

Correct answer: 3. Amniotic fluid embolism

Explanation: Amniotic fluid embolism